Alpha feto protein is increased in all except :
1. Chromosomal trisomy
2. Cloacal exstrophy
3. Exomphalos
4. Tracheo-oesophageal fistula

Correct answer: 1. Chromosomal trisomy

Explanation: Chromosomal trisomy